Stomach completes its rotation by
1. 4 weeks
2. 6 weeks
3. 7 weeks
4. 8 weeks

Correct answer: 2. 6 weeks

Explanation: At 5 weeks Stomach rotates and dilates. The intestinal loop begins to form.At 6 weeks Intestinal loop is well formed.Stomach completes rotation At 7 weeks Intestinal loop herniates out of the abdominal cavityAt 8 weeks Intestinal loop rotates counterclockwiseAt 3 months Herniated coils of intestine return to the abdominal cavity.Reference: Inderbir Singh Embryology; 10th edition; Page no: 200